Soap bubble appearance is shown by:
1. Osteoclastoma
2. Osteosarcoma
3. Multiple myeloma
4. Ewing's sarcoma

Correct answer: 1. Osteoclastoma